The electrogenic Na+ K+ ATPase plays a critical role in cellular physiology by
1. Extruding 3 Na+ out of the cell in exchange for taking two K+ into the cell.
2. Extruding 3 K+ out of the cell in exchange for taking two Na+ into the cell.
3. Using the energy in moving Na+ into the cell or K+ outside the cell to make ATP.
4. Using the energy in moving Na+ outside of the cell or K+ inside the cell to make ATP.

Correct answer: 1. Extruding 3 Na+ out of the cell in exchange for taking two K+ into the cell.

Explanation: Na, K ATPase catalyzes the hydrolysis of ATP to adenosine diphosphate (ADP) and uses the energy to extrude three Na+ from the cell and take two K+ into the cell for each molecule of ATP hydrolyzed.